For 1 peptide bond formation how many high energy phosphate bonds are required:
1. 0
2. 1
3. 2
4. 4

Correct answer: 4. 4

Explanation: D i.e. 4